Suspensory Lock wood ligament encloses:
1. Superior oblique and inferior rectus
2. Inferior oblique and inferior rectus
3. Superior rectus and inferior oblique
4. Superior rectus and superior oblique

Correct answer: 2. Inferior oblique and inferior rectus

Explanation: Ans: (b) Inferior oblique and inferior rectusRef: Gray's Anatomy, The Anatomical Basis of Clinical Practice, Susan Standring, 41st edition, 2016, Page 668-681The suspensory ligament of eyeball (or Lockwood's ligament) forms a hammock stretching below the eyeball between the medial and lateral check ligaments and enclosing the inferior rectus and inferior oblique muscles of the eye.Fascial sheath of the eyeball:Fascia bulbi (Tenon's capsule)- thin fascial sheath which envelops the eyeball.The fascia bulbi is perforated by the tendons of the extraocular muscles and is reflected on to each as a tubular sheath, the muscular fascia (tubular sheath for all orbital muscles).Sheaths of adjacent recti become confluent and form a fascial ring.Expansions from the muscular fascia of medial and lateral recti are strong, and are attached to the lacrimal and zygomatic bones, respectively.Since they may limit the actions of the two recti, they are termed medial and lateral check ligaments.The sheath of inferior rectus is thickened on its underside and blends with the sheath of inferior oblique.The sheath of inferior rectus and inferior oblique are continuous with the fascial ring formed by medial and lateral recti.Since the medial and lateral recti are attached to the orbital walls (lacrimal and zygomatic bones respectively) by check ligaments, a continuous fascial band, the suspensory ligament of the eye (Lockwood's ligament), is slung like a hammock below the eye, providing sufficient support that even when the maxilla (forming the floor of the orbit) is removed, the eye will retain its position.Injection of local anaesthetics via a cannula into the space between the fascia bulbi and the sclera (sub-Tenon's anaesthesia) has become a popular technique for many ophthalmic surgical procedures.